Commonest condition associated with menorrhagia is :
1. Adenomyosis
2. Fibroid
3. Granulosa cell tumour
4. Polycystic ovary

Correct answer: 2. Fibroid

Explanation: Fibroid